The replicative E. coli can multiply and produce daughter cells in?
1. 20 minutes
2. 24 hours
3. 20 days
4. 4 weeks

Correct answer: 1. 20 minutes

Explanation: Ans. a (20 minutes). (Ref. Textbook of Microbiology by Ananthnarayan, 7th/275)BacteriaGeneration time1Lepra bacillus12-13 days (8-42 days)2Tubercle bacillus14 hours3Coliform bacillus20 minutes